A 57-year-old man with stage II congestive heart failure reports to his physician for a follow-up visit. On examination, the man has crackles at both lung bases, and mild pitting edema affecting both legs. Laboratory results show a potassium level of 3.0 mEq/L. Which of the following is the most appropriate diuretic to prescribe for this patient?
1. Bumetanide
2. Ethacrynic acid
3. Indapamide
4. Triamterene

Correct answer: 4. Triamterene

Explanation: Hypokalemia is an electrolyte abnormality that can easily occur secondary to the use of thiazide and loop diuretics. Therefore, this particular patient should be prescribed a diuretic that prevents potassium loss, in an effort to prevent worsening of his hypokalemia. Clinical signs and symptoms of mild to moderate hypokalemia include muscle weakness, fatigue, and muscle cramps. Severe hypokalemia can cause flaccid paralysis, hyporeflexia, tetany, and even rhabdomyolysis. Potassium-sparing diuretics, such as triamterene, spironolactone, and amiloride, are commonly used alone or in conjunction with other diuretics to prevent the occurrence of hypokalemia. Both bumetanide and ethacrynic acid are potent, rapid-acting loop diuretics commonly used in the treatment of hypertension and edema associated with congestive heart failure. One of the primary side effects of these medications is hypokalemia. The thiazide diuretics, which include hydrochlorothiazide, indapamide, and metolazone, are also commonly associated with the development of hypokalemia. These diuretics are typically used in the initial treatment of hypertension and as adjunctive therapy for the treatment of edema associated with congestive heart failure.